False about hepatic duct -
1. Left hepatic duct formed in umbilical fissure
2. Caudate lobe drains only left hepatic duct
3. Right anterior hepatic duct formed by V and VIII segments
4. Right posterior hepatic duct formed by VI and VII segments

Correct answer: 2. Caudate lobe drains only left hepatic duct

Explanation: Caudate lobe (anatomical part of the right lobe) belongs physiologically to both right and left lobes because it receives blood from the right and left hepatic arteries; right and left branches of the portal vein; and drains blood into both right and left hepatic duct.
Right anterior segments are V and VIII, thus their duct is right anterior hepatic duct.
Right anterior hepatic (or segmental) duct (RASP) is formed by segments 5 and 8Q and right posterior hepatic (segmental) duct (RPS ) is formed by y segment 6 and 7. Both of these ducts join to form the right hepatic duct. Left anterior (medial) hepatic or segmental duct drains segment 3 and 4Q, whereas left posterior (lateral) hepatic duct drains segment 2. Both of these ducts join to form left hepatic duct in umbilical fissureQ.